In burn ward there is a staphylococcus infection to many patients. Where would the staphylococcus be colonized at ?
1. Throat
2. Nose
3. Vagina
4. Peri-anal region

Correct answer: 2. Nose

Explanation: Ans. is 'b' i.e., Nose S. aureus is part of normal human flora. The anterior nares is the most frequent site of human colonization although the skin (especially when damaged), vagina, axilla, perineum and oropharynx may also be colonized.Staphylococci are part of normal human bacterial flora with about 30% of general population being nasal carriers and another 10% carrying it on the perineal skin.